Amber codon refers to
1. Mutant codon
2. Stop codon
3. Initiating codon
4. Codon for more than one amino acids

Correct answer: 2. Stop codon

Explanation: Stop codons UAA - ochre; UAG - amber; UGA - opal.